Which of the following surface glycoproteins is most often expressed in human hematopoietic stem cells
1. CD22
2. CD40
3. CD15
4. CD34

Correct answer: 4. CD34

Explanation: Ref Robbins 7/e p670; 9/e p590 CD34 is expressed on pluripotent hematopoietic stem cells and progenitor cells of many lineages